A primigravida came with 6 cm cervical dilatation with contraction rate of 3/10 min. Which stage of labour is she in:
1. First stage
2. Second stage
3. Third stage
4. Fourth stage

Correct answer: 1. First stage

Explanation: Stages of labour First stage From onset of true labour pains to full dilatation Second stage Full dilatation to delivery of the baby Third stage Delivery of baby to placental delivery Fourth stage Observation for 1 hr after delivery of placenta - In the question above cervical dilatation is 6 cm = therefore ; it is 1st stage of labour.